Pendred's syndrome is due to a defect in ?
1. Chromosome 7p
2. Chromosome 7q
3. Chromosome 8p
4. Chromosome 8q

Correct answer: 2. Chromosome 7q

Explanation: Ans. is 'b' i.e., Chromosome 7q Pendred syndrome consists of - congenital sensorineural deafness - goitre It appears to be due to a defect in a sulfate transport protein common to the thyroid gland and the choclea.